Triflusal is a:
1. Anti-inflaqmmatory drug
2. Antibiotic
3. Anti-arthritic drug
4. Antiplatelet drug

Correct answer: 4. Antiplatelet drug